Strongest cycloplegic is -
1. Atropine
2. Homatropine
3. Cyclopentolate
4. Tropicamide

Correct answer: 1. Atropine

Explanation: Ans. is 'a' i.e., Atropine Rough estimate of refractive error after retinoscopy:o Objectively a rough estimate of error of refraction is made by taking into account the retinoscopy findings and following deductions.i) Deduction of 1D for 1 m and 1.5 D when retinoscopy is performed at 2/3rd m (67 cm) distance.ii) Deduction for cycloplegic (1D for atropine, 0.5D for homatropine, 0.75 D for cyclopentolate).Amount of refractive error = Retinoscopic finding - deduction for distance - deduction for cycloplegic.o Maximum deduction is required for atropine as it's the strongest cycloplegic.